Which of the following would most likely be observed in the lung during an autopsy of 2week old infant who died of neonatal respiratory distress syndrome
1. Alveolar filledwith neutrophils
2. Dense fibrosis of the alveolar walls
3. Enlarged air space
4. Hyaline membrane and collapsed alveoli

Correct answer: 4. Hyaline membrane and collapsed alveoli

Explanation: Neonatal respiratory distress syndrome is a disease of immaturity. The immature lung is not able to produce sufficient surfactant to prevent collapse of many alveloku. Severe diffuse damage to alveoli causes precipitation of protein adjacent to many alveolar walls Abundant neutrophils are seen in pneumonia. Fibrosis is a late not early feature of respiratory distress syndrome whereas the airspaces are not collapsed not enlarged in option C condition